The term 'id' was coined by -
1. Freud
2. Skinner
3. Wayker
4. Blueler

Correct answer: 1. Freud

Explanation: Structural theory of mind (the id, ego and superego) was given by Sigmund freud.